All of the following process shows features of acute inflammation except
1. Apoptosis
2. Pyroptosis
3. Necroptosis
4. Necrosis

Correct answer: 1. Apoptosis

Explanation: Necrosis Plasma membrane - disrupted Cellular contents - may leak out - adjacent inflammation Pathogenesis: - Apoptosis: Hallmarks of Apoptosis Intact Plasma Membrane Shrunken cell size Chromatin condensation - Most Characteristic feature Absent inflammation Pyroptosis:- associated with bacterial infection. associated with the release of IL-1 and activation of Caspase 1 and Caspase 11. inflammation is seen Necroptosis: Caspase independent Programmed cell death. (Programmed Necrosis). it is also having inflammation